Arch of aorta lies in which mediastinum?
1. Superior mediastinum
2. Posterior mediastinum
3. Middle mediastinum
4. Anterior mediastinum

Correct answer: 1. Superior mediastinum

Explanation: Ans. is 'a' i.e., Superior mediastinum MediastinumContentsSuperior* Trachea, esophagus, thymus, thoracic duct, lymph node.* Nerves:- Vagus, phrenic, cardiac nerves, left recurrent laryngeal nerve.* Arteries:- Arch of aorta, brachiocephalic artery, left common car tot id artery, left subclavian artery.* Veins:- Brachiocephalic veins, upper half of SVC, left superior intercostal vein.* Muscles:- Origin of sternohyoid, sternothyroid and longus colli.Anterior* Sternopericardial ligaments, lymph nodes, lowest part of thymus, areolar tissue.* Mediastinal branches of the internal thoracic artery.Middle* Heart with pericardium, bifurcation of trachea, right and left principal bronchi, lymph nodes.* Arteries:- Ascending aorta, pulmonary trunk, two pulmonary arteries.* Veins:- Lower part of SVC, terminal part of the azygous vein, right and left pulmonary veins.* Nerves:- Phrenic nerve, deep cardiac plexus.Posterior* Esophagus, thoracic duct, lymph nodes.* Arteries:- Descending thoracic aorta and its branches.* Veins:- Azygous, hemiazygos, accessory hemiazygos.* Nerves:- Vagi; greater, lesser and least splanchnic nerves from lower 8 thoracic ganglia.